Neurological involvement is pronounced in which type leprosy -
1. Tuberculoid
2. Lepromatous
3. Borderline
4. Lucio leprosy

Correct answer: 1. Tuberculoid